Vitamin acting on intranuclear receptors-
1. Vitamin K
2. Vitamin D
3. Vitamin B1
4. Vitamin E

Correct answer: 2. Vitamin D

Explanation: Mechanism of action of vitamin D resembles group II hormones i.e. it binds with nuclear receptors.